Confabulation is typically seen in :
1. Mania
2. Depression
3. Alcoholism
4. Delirium

Correct answer: 3. Alcoholism

Explanation: C. i.e. Alcoholism